Drug of choice in chronic myeloid leukemia:
1. ImitanibMesylate
2. Fludarabine
3. Cladribine
4. Pentostatin

Correct answer: 1. ImitanibMesylate

Explanation: Ans.(a) Imatinib mesylateRef: Harrison 19th ed. / 102e-3* Imatinib mesylate is an inhibitor of tyrosine kinase which is used for treatment of the following cancers# Chronic myeloid leukemia# Gastro-intestinal stromal tumors# Systemic mastocytosis